Horner trantas spot is seen in?
1. Trachoma
2. Phlytenular Kerato conjunctivitis
3. Vernal Kerato conjunctivitis
4. Giant Papillary conjunctivitis

Correct answer: 3. Vernal Kerato conjunctivitis

Explanation: Vernal REF: Khurana 4th ed p-451, Yanoff & Ducker-ophthalmology 2nd edition page 407 A characteristic manifestation of limbal vernal conjunctivitis is the presence of Horner-Trantas dots, which are white, chalk-like dots composed of eosinophils and epithelial debris.